One side of kidney is normal, other side kidney is contracted kidney with scar, what is the most probable diagnosis:
1. Chronic pyelonephritis
2. Polycystic kidney
3. Renal artery stenosis
4. Tuberculosis of kidney

Correct answer: 1. Chronic pyelonephritis

Explanation: Chronic pyelonephritis REF: Chandrasoma Taylor 3rd/e p. 725, table (49.2), Textbook of Pathology by Datta page 567, Harrison's 15th ed p. 1590 Repeat from June 2010 (path) Differential Diagnosis of a Granular, contracted Kidney with scar is: Chronic Glomerulonephritis Chronic Pyelonephritis Benign Nephrosclerosis (Hypertension) CHRONIC PYELONEPHRITIS The surface has "Saddle shaped scars" (arrow) which corrospond to the parenchymal fibrosis and scarring of the pelvic lining.